Procedure for serous otitis media is -
1. Tympanoplasty
2. Mastoidectomy
3. Myringotomy
4. Medical treatment

Correct answer: 3. Myringotomy

Explanation: Myringotomy with grommet insertion is the most common procedure used to treat SOM.